A 22-year-old Air-force test pilot presents after flying a sortie. The eye examination shows?
1. Arcus senilis
2. Subconjunctival hemorrhage
3. Phlyctenular conjunctivitis
4. Hypopyon

Correct answer: 2. Subconjunctival hemorrhage

Explanation: The history of test pilot in air force leads to possibility of G-force acting on the subconjunctival vessels leading to their rupture and subsequent hemorrhage